Neonatal lines are seen in
1. Enamel of deciduous incisors
2. Enamel of permanent incisors
3. Enamel of premolars
4. Dentin of all teeth, as if is formed first

Correct answer: 1. Enamel of deciduous incisors

Explanation: Because of undisturbed and even development of the enamel prior to birth, perikymata are absent in the occlusal. enamel of deciduous teeth, whereas they are present in the postnatal cervical parts.